Pathognomic sign of traumatic fracture is
1. Tenderness
2. Swelling
3. Crepitus
4. Bruising

Correct answer: 3. Crepitus

Explanation: C. i.e. (Crepitus) (545 - Apley 8th)* Crepitus or abnormal movement is pathognomic to traumatic fracture.* Posterior - interosseous nerve invovemet in Monteggia fracture dislocation* Peroneal nerve involvement in knee dislocationMotor cyclists fractures - The motorcyclists sustains a ring fracture and the pillion rider an atlanto - occipital avulsion with dural tear Anteroflexion without impact on the occiput seems to be a rare casual mechanism of the 'ring' fracture.